Mamillary body receive afferent fibers
1. Corpus callosum
2. Thalamus
3. Pituitary gland
4. Fornix

Correct answer: 4. Fornix

Explanation: Mammillary body receive afferent fibers Fornix C - shaped bundle of nerve fibers which acts as major output tract of hippocampus They are association fibers(connects one brain center to another) It is part of limbic system (Papez circuit) Papez circuit - for memory consolidation, emotions & behavior